Low serum cobalamin and elevated serum folate levels are seen in?
1. Acute myeloid leukemia
2. Celiac sprue
3. Bacterial overgrowth syndrome
4. Chronic myeloid leukemia

Correct answer: 3. Bacterial overgrowth syndrome

Explanation: Low serum cobalamin seen in Blood cancer but depletion of both Vit B12 and folic acid. So, leukemia Ruled out. Celiac Sprue - Involvement of Duodenum>Jejunum>Ileum Folic acid absorption- Jejunum Vit B12 absorption - T. Ileum So, Celiac spure ruled out Bacterial overgrowth syndrome Ileum involvement Vit B12 | Bacteria produce Folate products-Folic acid | IOC: Jejunal Aspirate culture Rx: Antibiotics